What is peau d'orange?
1. Cutaneous lymphatic edema due to infiltration of subdermal lymphatics
2. Radiation associated edema of breast
3. Radiation associated limb edema
4. Limb edema associated with axillary lymph node dissection

Correct answer: 1. Cutaneous lymphatic edema due to infiltration of subdermal lymphatics

Explanation: Ans. is 'a' i.e., Cutaneous lymphatic edema due to infiltration of subdermal lymphatics o Peau d' orange is due to cutaneous lymphatic edema, where the infiltrated skin is tethered by the sweat ducts, it cannot swell, leading to an appearance like orange skin.o Has been explained in previous sessions